Angular conjunctivitis is caused by –
1. H. influenza
2. Adenovirus type 32
3. Morax axenfield bacillus
4. Branhamella

Correct answer: 3. Morax axenfield bacillus